Lithium is used in a pregnant woman. Which of the following congenital anomaly occurs in foetus -
1. Tetralogy of Fallot's
2. Tricuspid atresia
3. Ebstein anomaly
4. Pulmonary stenosis

Correct answer: 3. Ebstein anomaly

Explanation: Ans. is 'c' i.e., Ebstein's Anomalyo Intake of lithium causes Ebstein's anomaly in fetus.